A healthy 30-year-old woman comes to the physician for a routine health maintenance examination. No abnormalities are found on physical examination. A screening Pap smear shows cells consistent with a low-grade squamous intraepithelial lesion (LSIL). Subsequent cervical biopsy specimens confirm the presence of cervical intraepithelial neoplasia (CIN) I. Which of the following risk factors is most likely related to her Pap smear findings?
1. Diethylstilbestrol (DES) exposure
2. Multiple sexual partners
3. Oral contraceptive use
4. Prior treatment for a malignancy

Correct answer: 2. Multiple sexual partners

Explanation: Cervical intraepithelial neoplasia (CIN) I represent minimal (mild) dysplasia (low-grade squamous intraepithelial lesion, or LSIL) and is a potentially reversible process. Dysplasia is preneoplastic and may progress to carcinomas if not treated. Risk factors for cervical dysplasia and carcinoma include early age at first intercourse, multiple sexual partners, and a male partner with multiple previous sexual partners. These factors all increase the potential for infection with human papillomavirus. Diethylstilbestrol (DES) exposure is a factor in the development of clear cell carcinomas of the vagina and cervix. The use of oral contraceptives, which contain very low amounts of hormonally active compounds, does not cause cervical dysplasia or carcinoma. Treatment of cancers does not typically result in dysplasia, although the atypical changes in epithelial cells from radiation and/or chemotherapy may be challenging to distinguish from cancer. A vitamin B12 deficiency may produce some megaloblastic epithelial changes, but not dysplasia.